All are used in gluconeogenesis except ?
1. Oleate
2. Succinate
3. Glutamate
4. Aspartate

Correct answer: 1. Oleate

Explanation: Ans. is 'a' i.e., OleateSubstrate of gluconeogenesis are :Lactate (lactic acid)PyruvateAll amino acids (except leucine and lysine)PropionateIntermediates of citric acid cycleFatty acids are not substrates for gluconeogenesis.Coming to the questionFatty acids (oleate in the question) is not a substrate for gluconeogenesis.Succinate is an intermediate of TCA cycle, and is a substrate for gluconeogenesis.All amino acids (in the question glutamate and aspartate), except leucine and lysine are substrates for gluconeogenesis.